Glucose is converted to sorbitol by ?
1. Aldolase B
2. Aldose reductase
3. Sorbitol dehydrogenase
4. All of these

Correct answer: 2. Aldose reductase

Explanation: Ans. is 'b' i.e., Aldose reductase